Rabies vaccine is prepared from which strain of virus:
1. Street virus
2. Fixed Virus
3. Wild virus
4. All of the above

Correct answer: 2. Fixed Virus

Explanation: Ans. B: Fixed Virus There are three main types of rabies vaccine: Vaccines containing animal brain tissues - Rabies virus phenol- or BPL-inactivated vaccines using as a substrate sheep or goat or brain. It contains nerve tissue. - Rabies virus BPL-inactivated vaccine use as a substrate suckling brain mouse, with a decrease myelin content. An vaccines using as a substrate duck embryo, are inactivated by b propiolactone, and purification is done by ultracentrifugation. Cell-cultured vaccines Human diploid cell culture vaccine (HDCV) is grown on human fibroblast, inactivated by b propiolactone. Primary hamster kidney cells (PHKC) rabies vaccine is grown on hamster kidney cells, inactivated by formalin inactivated. Purified chick embryo cells culture vaccine (PCEC) is inactivated by b propiolactone purified by ultracentrifugation Purified Vero rabies vaccine (PVRV) is grown on Vero cells, inactivated by b -propiolactone and purified by ultracentrifugation. Rabies vaccine adsorbed vaccine (RVA) uses a Kissling strain of rabies virus adapted to a diploid cell of fetal rhesus monkey lung fibroblast, inactivated by b-propiolactone, and containing alum phosphate.